In an uncomplicated case of alcohol withdra-wal, the drug which can be given safely is
1. Benzodiazepines
2. Clonidine
3. Morphine
4. Disulfiram

Correct answer: 1. Benzodiazepines

Explanation: A i.e. Benzodiazepines